A child swallowed a watch battery containing alkaline content. What next -
1. Immediate X-ray measurements
2. Remove surgically immediately
3. CT abdomen
4. Laxatives

Correct answer: 1. Immediate X-ray measurements

Explanation: Ans. is 'a' i.e., Immediate X-ray measurements Alkaline dry cell batteries contain:* Sodium hydroxide* Potassium hydroxideLithium dioxide dry cell batteries contain:* Manganese dioxideSymptoms Of Alkaline Battery Poisoning May Include:* Severe pain in the mouth* Collapse* Inability to breathe due to the throat swelling shut* Severe pain in the throat* Severe abdominal pain* Diarrhea* Vomiting* Drooling* Rapid drop in blood pressureImmediate Management* The person will need immediate x-rays to make sure the battery is not stuck in the esophagus. Most swallowed batteries that pass through the esophagus will pass in the stool without complication. However, if a battery gets stuck in the esophagus, it can cause a hole in the esophagus very quickly.* Radiographic studies of the entire digestive system may be taken. Disk batteries have a characteristic double- density (two-layer) shadow on Xrays. Laterally, their edges are rounded, and they contain a step-off junction at the positive and negative terminal. This can help distinguish them from coins and buttons.* If a battery is located in the esophagus (food pipe), immediate removal is necessary.